All or none law refers to:
1. Action potential
2. Resting potential
3. Membrane potential
4. None

Correct answer: 1. Action potential

Explanation: Action potential